In shigella dysentry associated hemolytic uremic syndrome, the false statement is ?
1. Leucocytosis
2. Neurological abnormalities
3. Hepatic failure
4. Thrombotic angiopathy

Correct answer: 3. Hepatic failure

Explanation: Ans. is 'c' i.e., Hepatic failure o Hepatic failure does not occur in HUS. Laboratory findings of HUS o Thrombocytopenia o Leukocytosis o ARF r BUN and creatinine with oliguria o Microscopic hematuria o Peripheral smear Helmet cells, burr cells, fragmental RBCs (Schistocytes). o Proteinuria o Hemoglobinuria with hemosiderinuria o Normal PT and APTT Option 'b' requires some explanation here ? Though neurological manifestations may occur in HUS, these are not common and this feature differentiated HUS from TTP. In TTP neurological symptom is one of the clinical criteria for diagnosis.